Which of the following is the root value of achilles tendon reflex?
1. L1, L2
2. L3, L4
3. S1, S2
4. S3, S4

Correct answer: 3. S1, S2

Explanation: Achilles tendon reflex:Also known as ankle jerk.Root value: S1,S2Plantar flexion of the ankle joint on tapping the Achilles tendon. Must know:Deep tendon reflexes include reflex responses of the biceps, triceps, brachioradialis, patellar and Achilles tendons. Ref: Clinical Anatomy By Regions By Richard S. Snell, 2011, Page 23.